Neuroblast give rise to
1. Sensory neuron
2. Sympathetic neuron
3. Motor neuron
4. All of the above

Correct answer: 4. All of the above